Cataract brunescens results due to deposition of -
1. Copper
2. Iron
3. Silver
4. Urochrome

Correct answer: 4. Urochrome

Explanation: In nuclear senile cataract, there may or may not be associated with deposition of pigment urochrome and/or melanin derived from amino acids in the lens.
Commonly observed pigmented nuclear cataracts are amber, brown (cataract brunescens) or black (cataract nigra) and rarely reddish(cataract Rubra) in colour.